Absent fructose content in the seminal fluid suggests:
1. Congenital absence of seminal vesicle
2. Ejaculatory duct obstruction
3. None
4. Both

Correct answer: 4. Both

Explanation: Ans. is d, i.e. BothFructose is added to seminal fluid, by seminal vesicle and hence would be absent in case of both congenital absence of seminal vesicle (seen in case of Congenital Bilateral Absence of Vas Deferens) and ejaculatory duct obstruction.